What is the most likely diagnosis in a man with a 3-month history of migratory lesions on the tongue?
1. Geographic tongue
2. Oral candidiasis
3. Lichen planus
4. Oral hairy leukoplakia

Correct answer: 1. Geographic tongue

Explanation: Answer A. Geographic tongueGeographic tongue, also known as benign migratory glossitis, is the correct answer. It is a benign condition, affecting nearly 2% of the general population. Geographic tongue typically presents with migratory red lingual patches. It is associated with local inflammation and the loss of filiform papillae. The condition is usually asymptomatic and does not require treatment. It can, however, present with pain or a burning sensation.